HPI includes all except
1. Adult litercy rate
2. % of population not having water source
3. Probability at birth of not surviving at age 100
4. % of children underweight for age

Correct answer: 3. Probability at birth of not surviving at age 100

Explanation: Human poverty index for developing countries (HPI-1) The following three dimensions are taken into account: Deprivation of longevity, measured as a percentage of the individuals with a life expectancy lower than 40 years (P1). Deprivation of knowledge, expressed as a percentage of illiterate adults (P2). Deprivation of decent living standards (P3) HPI - 2 also considers a fourth dimension, social exclusion, measured with the long-term unemployment rate (P4), that is the percentage of those unemployed for 12 months or over compared to the total workforce (the sum of those working and those seeking a job). Ref: Park's textbook of preventive and social medicine; 23rd edition